Genital tubercle forms which of the following part in females?
1. Labia majora
2. Labia minora
3. Clitoris
4. None

Correct answer: 3. Clitoris

Explanation: * The genital tubercle is situated in the midline between the urogenital membrane and the lower part of the anterior abdominal wall. The genital tubercle becomes cylindrical and forms the clitoris. It has to be noted that in fetuses about 3-4 months old, the genital tubercle is equally developed in both the male and female. Ultrasound examination at this stage can be misleading as the clitoris can be mistaken for a penis. Ref: Inderbir Singh's Human Embryology, eleventh edition, pg. no., 275, 278.